Which of the following seen in block:
1. Panchayat samiti
2. Panchayat sabha
3. Gram sabha
4. Gram samiti

Correct answer: 1. Panchayat samiti

Explanation: Ans. (a) Panchayat samitiRef : K. Park 23rd ed. / 881-82* Panchayat Samiti is a local government body at the tahsil level in India. It works for the villages of the tahsil that together are called a Development Block.* The Panchayat Samiti is the link between the Gram Panchayat and the zila parishad.NOTE* Gram Sabha has been envisaged as the foundation of the Panchayati Raj system. A village having population not less than 1500forms Gram Sabha and every adult of the village is member of Gram Sabha. These members of gram sabha can elect members of gram panchayat.